Continuous murmur is found in all, EXCEPT
1. Mitral stenosis with mitral regurgitation
2. Patent ductus arteriosus
3. Rupture of sinus of Valsalva
4. Systemic arteriovenous (AV) fistula

Correct answer: 1. Mitral stenosis with mitral regurgitation